Which of the following is only yeast -
1. Candida
2. Mucor
3. Rhizopus
4. Cryptococcus

Correct answer: 4. Cryptococcus

Explanation: Based on the morphological appearance, there are four main groups of fungi: Yeast: They grow as round to oval cells that reproduce by budding, e.g. Cryptococcus neoformans and Saccharomyces. Yeast like : They exist as yeasts with pseudohyphae, e.g. Candida Moulds: They grow as long branching filaments of 2-10 mm wide called hyphae. Examples include - Dermatophytes, Aspergillus, Penicillium, Rhizopus and Mucor, etc. Dimorphic fungi: They exist as moulds (hyphal form) in the environment at ambient temperature (25degC) and as yeasts in human tissues at body temperature (37degC). Examples include: Histoplasma capsulatum, Blastomyces dermatitidis, Coccidioides, Paracoccidioides Penicillium marneffei and Sporothrix schenckii. Note- Candida albicans is not a dimorphic fungi.